Long term potentiation means
1. Enhancement of signal transmission
2. Increased number of receptors
3. Increased number of neurons
4. Increased muscle tone

Correct answer: 1. Enhancement of signal transmission

Explanation: (A) Enhancement of signal transmission# LONG-TERM POTENTIATION (LTP): a long-lasting strengthening of the response of a postsynaptic nerve cell to stimulation across the synapse that occurs with repeated stimulation and is thought to be related to learning and long-term memory.> Long-term potentiation (LTP) is a long-lasting enhancement in signal transmission between two neurons that results from stimulating them synchronously.> It is one of several phenomena underlying synaptic plasticity, the ability of chemical synapses to change their strength.> As memories are thought to be encoded by modification of synaptic strength, LTP is widely considered one of the major cellular mechanisms that underlies learning and memory> NMDA receptor-dependent LTP exhibits several properties, including input specificity, associativity, cooperativity, and persisience.